A wide mouth meckels diverticulum is found. accidently on laparotomy. what will be t/t of choice?
1. Resection of diverticulum
2. Leave as such
3. Ligate at base
4. Resection withpart of ileum

Correct answer: 2. Leave as such

Explanation: Ans is 'b' ie leave it as such "A wide-mouthed, thin walled unattached diverticulum in an adult patient can probably quite safely be left alone." - Maingot's Treatment Any symptomatic Meckel's diverticula is resected (Diverticulectomy) There are two techniques for excision of the diverticulum - simple excision resection with the segment of ileum containing the diverticulum and then reanastomosis. Resection of ileum with reanastomosis is reserved for patients with peptic ulceration in the ileal mucosa a gangrenous diverticulitis affecting the base of the diverticulum if the base of the diverticulum is inflamed or perforated in rare cases of malignant disease situated in Meckel's diverticulum. Management of asymptomatic Meckel's diverticula found incidentally on laprotomy Management is controversial and different books write differently. According to Maingot's - a wide-mouthed, thin walled Meckel's diverticulum without any attached band can be left. - prophylactic diverticulectomy is done - if the diverticula has a narrow base if there is any palpable thickening or adhesions suggestive of ectopic tissue. - if there is any attachment either by bands to the umbilicus or by a mesodiverticular vascular strand.